Following are radiological evidence of Achalasia cardia except -
1. Smooth narrowing of esophagus
2. Dilated tortous esophagus
3. Absence of air in the fundus
4. Exaggerated peristalsis

Correct answer: 4. Exaggerated peristalsis